Investigation of choice in a person brought with traumatic paraplegia is:
1. MRI
2. CT
3. Myelography
4. USG

Correct answer: 1. MRI

Explanation: All spinal imaging is done by MRI
MRI is safe in pregnancy Unit of MRI is TESLA.